Which of the following statements about Nutritional surveillance is not true -
1. It is diagnostic approach
2. Assessment involves precise measurements of weight and height
3. Assessment is done by trained persons
4. Done in all children <5 years

Correct answer: 4. Done in all children <5 years

Explanation: Nutritional surviellance is done in representative ages at longer intervalsREF.PARK'S TEXTBOOK OF PREVENTIVE AND SOCIAL MEDICINE.Editon-21.Page no.-602.